Renal cell carcinoma histopathologicaly showing Perinuclear halo'&"Plant like"structure in malignant cells is seen in
1. Clear cell tumor
2. Papillary Ca
3. Collecting duct. Ca
4. None

Correct answer: 4. None

Explanation: Answer (None) Histopathological findings of Perinuclear halo and plant cell appearance are seen in Chromophobe cell carcinoma variant of RCC. Electron microscopic findings consisting of numerous 150-300 nm microvesicles is the single most distinctive and defining feature of Chromophobe cell ca.